Elephant foot deformity is indicative of
1. Diplopia
2. Non-union of fractured edentulous mandible
3. Skeletal Class II malocclusion
4. Unilateral Le Fort I fracture of maxilla

Correct answer: 2. Non-union of fractured edentulous mandible